Chadwick sign means
1. Bluish discoloration or dusky hue of the vestibule and anterior vaginal wall
2. Pulsations felt through lateral fomices
3. Softening of cervix
4. All of the above

Correct answer: 1. Bluish discoloration or dusky hue of the vestibule and anterior vaginal wall

Explanation: Ans. a (Bluish discoloration or dusky hue of the vestibule and anterior vaginal wall) (Ref. Dutta, Obstetrics, 6th ed., p 65)Jacquemier's sign (Chadwick's sign) - It is the dusky hue of the vestibule and anterior vaginal wall visible at about 8th week. The discolouration is due to local vascular congestion.Signs and symptoms of pregnancyPresumptive signsProbable signsPositive signsAmenorrhoeaEnlargement of abdomenFetal movementsBreast changesHegar's sign (uterus)Fetal heart soundsMorning sicknessGoodell's sign (cervix softens)X-raysQuickeningBaxton - Hicks signUSGLinea nigraBallottement Urinary disturbancesUterine souffie FatiguePregnancy test Signs of Early Pregnancy1Jacquemier's or Chadwick's sign# Eighth week# Dusky hue of vestibule and anterior vaginal wall.2Osiander's sign# Eighth week# Increased pulsations felt through lateral fornices.3Goodell's sign# Sixth week# Softening of cervix.4Piskacek's sign # Asymmetrical enlargement of uterus if there is lateral implantation.5Hegar's sign# 6-10th week# Variation in uterine consistency due to the enlargement of upper part of the body of uterus and soft and empty lower part of the body with cervix being firm.6Palmer's sign# 4-8th week# Regular and rhythmic uterine contractions elicited during bimanual examination.7Placental sign Cyclic bleeding up to 3 2th week of pregnancy until decidual space obliterated.8Palpation of fetal parts can be distinctly made by20th week of gestation.--9Fetal heart may not be audible in cases of maternal obesity, polyhydramnios, IUD and OPP.----